Which of the following is not a superior rectus palsy feature
1. Hypotropia
2. Diplopia
3. Chin depression
4. Seen in Mid brain lesion

Correct answer: 3. Chin depression

Explanation: SUPERIOR RECTUS PALSY Eye would move downwards (hypotropia) C/O Diplopia Compensatory chin elevation would be there Cause can be C/L Mid brain lesion